Which of the following is TRUE about an 'essential drug'?
1. Drugs that has been developed specifically to treat a rare medical condition
2. Those drugs that satisfy the health care needs of the majority of the population
3. Those drugs that satisfy the health care needs of at least 50% of the population
4. Drug that is to be used within first hour of the acute attack of the disease

Correct answer: 2. Those drugs that satisfy the health care needs of the majority of the population

Explanation: Essential drugs are defined by the World Health Organization as those that satisfy the health care needs of the majority of the population and that therefore should be available at all times in adequate amounts and in the appropriate dosage and forms. The criteria of essential drugs includes established efficacy and safety, coverage of the majority of the diseases prevalent in the population, adequate quality, and stability. The selection of essential drugs also considers the the total cost of the treatment, changes in public health priority, and levels of health priorities. Ref: Policy Tools for Allocative Efficiency of Health Services: Xingzhu Liu By X Liu, 2003, Page 70; Essentials of Pharmacology by KD Tripathi, 6th edition, Page 5.